External Cephalic Version (ECV) is contraindicated in all of the following , EXCEPT?
1. Twins
2. Flexed breech
3. Premature Rupture of membranes
4. Previous abruption

Correct answer: 2. Flexed breech

Explanation: ECV -Absolute contraindications : Placenta previa Multifetal gestation Severe contracted pelvis - Relative contraindications Early labor oligohydramnios or rupture of membranes structural uterine abnormalities fetal growth restriction prior abruption